Hypertension with Hypokalemia is seen in:
1. Bartter Syndrome
2. Liddle's Syndrome
3. Gitelman's Syndrome
4. All of the above

Correct answer: 2. Liddle's Syndrome

Explanation: Liddle's Syndrome is typically associated with Hypokalemia and Hypertension. Rater's Syndrome and Gitelman's Syndrome are also associated with hypokalemia but without hypertension. Liddle's Syndrome : Review Pathophysiology: * Autosomal dominant disorder. * Genetic defect in the collecting tubule sodium channel, resulting in increased sodium reabsorption and lack of inhibition by higher levels of intracellular sodium Age of Presentation * Often diagnosed at young age, but can present in adulthood due to phenotypic variation. Clinical presentation * Classic triad of hypertension, metabolic alkalosis, and hypokalemia. * Consider iffamily history of hypertension and/or hypokalemia. at young age Lab data * Metabolic alkalosis, hrpokalemia (although some are low normal), low urinary aldosterone secretion Treatment: * Lifelong. Potassium-sparing diuretic which closes the sodium channel (Amiloride or Triamterene). Spironolactone does not work.